Which of the following is not a cause of secondary polycythemia?
1. High Altitude
2. Myeloproliferative changes
3. Pheochromocytoma
4. Cerebellar hemangioblastoma

Correct answer: 2. Myeloproliferative changes